Confabulation is a disorder of:
1. Perception
2. Thought
3. Memory
4. Mood

Correct answer: 3. Memory

Explanation: C i.e. Memory